The gene responsible for folic acid transport is situated on which chromosome-
1. 10
2. 5
3. X
4. 21

Correct answer: 4. 21

Explanation: Folate transporter 1 is a protein which in humans is encoded by the SLC19A1 gene. pteroylglutamic acid) into, out of or within a cell, or between cells, by means of some agent such as a transporter or pore. Folic acid is widely distributed as a member of the vitamin B complex and is essential for the synthesis of purine and pyrimidines.